Following are gastrointestinal hormones except :
1. CCK- PZ
2. GIP
3. Chymotrypsin
4. Motilin

Correct answer: 3. Chymotrypsin

Explanation: C i.e. ChymotrypsinActivatorProenzyme/ EnzymeTrypsin (activates- Cliymotrypsinogens /chyinotrypsinQonly pancreatic- Pro carboxypeptidase A/enzymes)carboxypeptidase A - Procarboxypeptidase B/ carboxypeptidase B - Pro-colipase/colipase - Pro-elastase/elastase - Pro-phospholipase A2/phospholipase A2Enteroeptidase- Trypsinogen/TrypsinQHC1- Pepsinogens / pepsinQCl-- Salivary and pancreatic a amylase